Which of the following decrease sex hormone binding globulin
1. Oral contraceptive pills
2. Insulin
3. Thyroxine Hormone
4. Pregnancy

Correct answer: 2. Insulin